True regarding perineal body are all except
1. Perineal body intervenes between posterior vaginal wall and anal canal
2. Bulbocavernosus converges on it superficially
3. Pubococcygeus forms deeper relation
4. External anal sphincter lies in deep relation with respect to perineal body.

Correct answer: 4. External anal sphincter lies in deep relation with respect to perineal body.

Explanation: External anal sphincter lies superficially and internal anal sphinder lies deeper with respect to perineal body.